A recurrent chalazion should be subjected to histopathologic evaluation to exclude the possibility of
1. Sebaceous cell carcinoma
2. Squamous cell carcinoma
3. Malignant melanoma
4. Basal cell carcinoma

Correct answer: 1. Sebaceous cell carcinoma

Explanation: CHALAZION complications: Malignant change into meibomian gland carcinoma may be seen occasionally in elderly people. Sebaceous gland carcinoma : It is a rare tumour arising from the meibomian glands. Clinically, it usually presents initially as a nodule(which may be mistaken for a chalazion). Which then grows to form a big growth. Rarely, a diffuse tumour along the lid margin may be mistaken as chronic blepharitis. Surgical excision with reconstruction of the lids is the treatment of choice. Recurrences are common. Ref:- A K KHURANA; pg num:-346,361